Which of the following is primary cell line -
1. Chick embryo fibroblast
2. Hela cells
3. Vero cells
4. WI-38

Correct answer: 1. Chick embryo fibroblast

Explanation: Primary cell cultures:These are normal cells freshly taken from the body and cultured. Common examples are monkey kidney,human embryonic kidney,human amnion and chick embryo cell cultures. REF:ANANTHANARAYAN AND PANIKER'S TEXTBOOK OF MICROBIOLOGY 9TH EDITION PAGE NO:435